In a neonate with meningitis, Gram-positive bacilli were isolated on CSF examination. Which of the following is the likely causative organism?
1. Streptococcus pneumoniae
2. Listeria monocytogenes
3. Hemophilus influenzae
4. Neisseria meningitides

Correct answer: 2. Listeria monocytogenes

Explanation: Ans. b. Listeria monocytogenes